The most frequent cause of recurrent genital ulceration in a sexually active male is
1. Herpes-genitalis
2. Aphthous ulcer
3. Syphilis
4. Chancroid

Correct answer: 1. Herpes-genitalis

Explanation: PCR testing of genital ulcers now clearly implicates genital herpes as the most common cause of genital ulceration in developing countries Genital herpes is a common sexually transmitted disease (STD) that any sexually active person can get. Most people with the virus don't have symptoms. Even without signs of the disease, herpes can still be spread to sex partners. LGV & Donovanosis continue to cause genital ulceration's in developing countries though less common PCR testing of ulcer demonstrates HSV in 62% T. pallidum 13% H. ducreyi 12-20% Ref Harrison 20 th edition pg 1233